A 38-year-old daily laborer has a heart rate of 44 on routine examination. What is the treatment?
1. Atropine
2. Cardiac pacing
3. Adrenaline
4. No treatment required

Correct answer: 4. No treatment required

Explanation: Resting heart rates <60 beats/ min are very common in young healthy individuals and physically conditioned subjects. By definition, sinus bradycardia is a rhythm driven by the SA node with a rate of <60 beats/min; sinus bradycardia is very common and typically benign. A sinus rate of <40 beats/min in the awake state in the absence of physical conditioning generally is considered abnormal.Harrison 19e pg: 1468